Which of the following statement(s) is false with respect to Borderline personality disorder?
1. It is also called emotionally unstable personality disorder
2. Parasuicide risk is high
3. Suicide risk is high
4. Remain in a stable relationship for a long time

Correct answer: 4. Remain in a stable relationship for a long time

Explanation: Borderline Personality Disorder: It is a cluster B disorder It is characterized by extreme emotionality and erratic behaviours Multiple and unstable relationships are common Deliberate self-harm (parasuicidal) behaviour 10% of patients commit suicide Micro-psychotic episodes Black and white thinking (all or none thinking)